Intron is not found in which DNA?
1. Nuclear DNA
2. Mitochondrial DNA
3. B DNA
4. Z DNA

Correct answer: 2. Mitochondrial DNA

Explanation: Introns enable alternative splicing, which enables a single gene to encode multiple proteins that perform different functions under different conditions. For example, a signal the cell receives could cause an exon that is normally included to be skipped, or an intron that is normally spliced out to be left this would not be possible, would not be possible, or at least would be much more difficult, without the presence of introns.